Which of the following is the most common soft tissue tumor in adults ?
1. Fibroma
2. Leiomyoma
3. Lipoma
4. Histiocytoma

Correct answer: 3. Lipoma

Explanation: Lipomas are the most common soft tissue neoplasms. They are soft and fleshy on palpation. Histologically it appear as lobulated tumors composed of normal fat cells. It is considered to be a benign lesion without any risk of development of malignancy. Reference: Schwart'z Principles of Surgery 9e chapter 16.